Consider the following:1. Reactive NST2. Absence of deceleration3. Sinusoidal patternWhich of the above findings in an antepartum CTG indicate fetal well-being:
1. 1 and 2 only
2. 2 and 3 only
3. 1 and 3 only
4. 1, 2, 3

Correct answer: 1. 1 and 2 only

Explanation: Ans. is a, i.e. 1 and 2 onlyRef. Dutta Obs. 7/e, p 110, for 1, 612 for 2 and for 3; Williams 23/e, p 420Reactive NST, i.e. acceleration with fetal movements indicates a healthy fetus."Absence of deceleration in the NST is reassuring. Absence of accelerations in the NST may be a sign of fetal compromise--Fernando Arias 3/e, p 19"Sinusoidal pattern is observed with serious fetal anemia, whether from D isoimmunization, ruptured vasa previa, fetomaternal hemorrhage or twin-to-twin transfusion." --Williams 25/e, p 482